Broncho penumonia due to measles occurs due to
1. Sinusitis
2. Immunomodulation
3. Bronchial obstruction
4. Aspiration

Correct answer: 2. Immunomodulation

Explanation: Most complications of measles involve the respiratory tract ,like broncho pneumonia and it result from secondary bacterial infections of the respiratory tract that are attributable to a state of immunosuppression lasting for several weeks to months after acute measles. reference:Harrison' s medicine-18th edition,page no:1603.